The recommended oral dose of vitamin A to be given in a 10 month child with deficiency on each of day 1,2 and 28 is -
1. 50,000 IU
2. 1,00,000 IU
3. 2,00,0001U
4. 6,00,000 IU

Correct answer: 2. 1,00,000 IU

Explanation: Ans. is 'b' i.e., 1,00,000 IU